Level of Hardness if the value is 50-150 mg/L ?
1. Soft water
2. Moderately hard water
3. Hard water
4. Very hard water

Correct answer: 2. Moderately hard water

Explanation: Ans. is 'b' i.e., Moterately hard water